H. capsulatum, is found in soil heavily contaminated with bird droppings. Which of the following statements best describes the presence of the organism in tissue biopsies?
1. Arthrospores
2. Oval budding yeast inside macrophages
3. Single-cell yeast with pseudohyphae
4. Spherules containing endoscopores

Correct answer: 2. Oval budding yeast inside macrophages

Explanation: H. capsulatum is a dimorphic fungus that forms two types of spores: tuberculate macroconidia and microconidia. Inhalation of the microconidia transmits infection. Inhaled spores (microconidia) are engulfed by macrophages and develop into yeast forms. Most infections remain asymptomatic; small granulomatous foci heal by calcification. However, pneumonia can Occur. The heterophile anti body test is useful for early diagnosis of infectious mononucleosis.